Which of the following is material of choice in class V
cavity with abfraction?
1. GIC
2. Hybrid composite
3. Microfilled composite
4. Compomer

Correct answer: 3. Microfilled composite